Very severe pneumonia in a child include all except
1. No feeding
2. Fever
3. Chest indrawing
4. Stridor

Correct answer: 2. Fever

Explanation: Ref. The Short Textbook of Pediatrics. Pg 435